Hyperkalemia is seen with succinylcholine , in all of the following cases except
1. Tetanus
2. Burns
3. Myasthenia gravis
4. Muscular dystrophy

Correct answer: 3. Myasthenia gravis

Explanation: Myasthenia gravis patients are resistant to action of succinylcholine, since depolarizing blocker cannot act in them.